In spinal anaesthesia the drug is deposited between
1. Dura and arachnoid
2. Pia and arachnoid
3. Dura and vertebra
4. Into the cord substance

Correct answer: 2. Pia and arachnoid

Explanation: Ans. is 'b' i.e., Pia and arachnoid matter Spinal anaesthesia In spinal anaesthesia LA is injected into subarachnoid space (space between pia matter and arachnoid matter). Structure pierced during SA (from outside in) - Skin - Subcutaneous tissue --> Supraspinous & intraspinous ligament --> Ligamentum falvum --> Duramater -->Arachnoidmater. Site of spinal anaesthesia L2_3 or L3_4 intervertebral space in adult (In adult spinal cord ends at lower border of Ll vertebrae). L4_5 intervertebral space in children (spinal cord ends at lower border of L3 vertebrae in children). Spinal anaesthesia leads to creation of a zone of differential blockade, ie motor fibres are blocked two levels lower and autonomic fibres are blocked two levels higher than the sensory blockade due to different sensitivity of different fibres.